A new born with recurrent vomiting, cynosis after each feed is likely to be suffering from
1. Tracho oesophageal fistula
2. Tetrology of fallot
3. Congenital hypertrophic pyloric stenosis
4. ARDS

Correct answer: 1. Tracho oesophageal fistula

Explanation: Clinical features : The presence of maternal polyhyramnios and single umbilical artery should alert the pediatrician to look for atresia of the upper GIT.Association of congenital anomalies of vertebrae, anorectal region,heart,kidneys or limbs should arouse suspicion.The newborn baby has excessive drooling ,saliva is frothy and there is choking and cyanosis with first feed.Overflow of milk and saliva from oesophagus, and regurgitation of secretions through the fistulous tract into the lungs is present. Ref : ESSENTIAL PEDIATRICS,O.P.GHAI,PG NO:151,7th edition